Yellowish discoloration of teeth is seen in children fed
on:
1. High-protein diet
2. Tetracyclines
3. Penicillins
4. Erythromycin

Correct answer: 2. Tetracyclines